Protective levels of Tetanus anti-toxin is:
1. >0.01 IU/mL
2. >0.5 IU/mL
3. >1.0 IU/mL
4. >5 IU/mL

Correct answer: 1. >0.01 IU/mL

Explanation: a. >0.01IU/mL(Ref: Nelson's 20/e p 1381, Ghai 8/e p 193-194)Protective titer for diphtheria >0.1IU/mL and for tetanus >0.01IU/mL.